most coomon benign tumor of parotid gland?
1. pleomrophic adenoma
2. warthins tumor
3. mucoepidermoid tumor
4. adenoid cystic tumor

Correct answer: 1. pleomrophic adenoma

Explanation: Pleomorphic Adenoma : Epithelial Components Tubular and cord-like arrangements Cells contain a moderate amount of cytoplasm Mitoses are rare Stromal or "mesenchymal" Components Can be quite variable Attributable to the myoepithelial cells Most tumors show chondroid (cartilaginous) differentiation Osseous metaplasia not uncommon Relatively hypocellular and composed of pale blue to slightly eosinophilic tissue. ref : bailey and love 27th ed